What is the best method for confirming a diagnosis of amyloidosis?
1. Colonoscopy
2. Sigmoidoscopy
3. Rectal biopsy
4. Tongue biopsy

Correct answer: 3. Rectal biopsy

Explanation: Classically abdominal fat is aspirated to aid in the diagnosis of amyloidosis. Amyloid deposits are found in abdominal fat of 80% of patients with amyloidosis. Biopsy of kidney, heart, liver or GI tract can also be done. Since abdominal fat aspirate is not provided in the options, rectal biopsy is the best answer amongst the options provided.Ref: Harrisons Principles of Internal Medicine, 16th Edition, Page 2028.